Medullary ca of thyroid is associated with increase in -
1. Calcitonin
2. Thyroglobulin
3. T
3
4. T
4

Correct answer: 1. Calcitonin

Explanation: The cells of medullary carcinomas, similar to normal 'C' cells, secrete calcitonin.
In some instance other hormones are secreted such as somatostatin, serotonin, and VIP.